Herbert pits are seen in trachoma at:
1. Limbus
2. Lid margin
3. Palpebral conjunctiva
4. Bulbar conjunctiva

Correct answer: 1. Limbus

Explanation: Ans. (a) LimbusRef: A.K. Khurana 6th ed. 169-70, Parson's 21st ed./173* Herbert pits are oval or circular scar which is left after healing of Herbert pit in the limbus area.Other Signs of Trachoma:* Conjunctival scarring (Arlts line)* Sago grain follicles/Bulbar follicles (pathognomonic)